Bone marrow in Amyloid Lightchain Amyloidosis shows which of the following features?
1. Bone marrow plasmacytosis
2. Granulomatous reaction
3. Fibrosis
4. Giant cell formation

Correct answer: 1. Bone marrow plasmacytosis

Explanation: Amyloid light chain (AL) protein is derived from plasma cells. All patients with AL amyloidosis have increased plasma cells in their bone marrow presumably accounting for the production of precursors of AL protein. Ref: Pathologic Basis of Disease, Robbins, 6th Edition, Page 253; 7th Edition, Page 261